For RNA, which blotting technique is used -
1. Western blot
2. Northern blot
3. Southernblod
4. None

Correct answer: 2. Northern blot

Explanation: Ans. is 'b' i.e., Northern blot TechniqueSample analyzedGel usedProbeSouthern blotDNAQYesRadioactive DNAAllele specific oligonucleotide (ASO)DNANoAllele specific oligonucleotideMicroarravm-RNA or c-DNANoDNA probeNorthern blotRNAQYesDNA probeWestern (immuno) blotProtein QYesLabeled antibody QSouth Western blotProtein DNANoDNA probeELISAProtein or antibodiesNoAntibody Q (Specific for protein to be measured)ProteomicsProtein QYes-